Demographic bonus is due to:
1. Decreased fertility
2. Increased longevity
3. Both of the above
4. None of the above

Correct answer: 1. Decreased fertility

Explanation: The rapid decline in dependency ratios has been associated with rapid economic development. Demographic bonus is the period when dependency ratio declines because of decline in fertility until it starts to rise again because of increasing longevity. Ref: Park, 22nd edition pg: 446